A woman with previous history of Neural tube defects in her first baby, becomes pregnant again ,what is the recommended folic acid dosage for her?
1. 400 mcg
2. 4 mg
3. 1mg
4. 100 mcg

Correct answer: 2. 4 mg

Explanation: Generally,folic acid supplementation with 0.4 mg per day is started at least 1 month before conception., though its best if she takes it for 3 months prior. The dose is increased to 4 mg when a woman with previous history of Neural tube defects in her previous pregnancy becomes pregnant. It should be started 3 months before conception and continued till first trimester thereafter we switch it with IFA tablets